Following are the laboratory' tests for the diagnosis of vestibular dysfunction except -
1. Electronystagmography
2. Optokinetic test
3. Galvanic test
4. Gelle's test

Correct answer: 4. Gelle's test

Explanation: Ans. is 'd' i.e., Gelle's test Vestibular systemo The vestibular system contributes to balance and to the sense of spatial orientation,o It is a sensory system that provides the leading contribution about movement and sense of balance,o It includes the labyrinth (semicircular canals and otolith : utricle & sacules) of the inner ear and is situated in the vestibulum in the inner ear.o The symptoms of vestibular dysfunction are vertigo, dizziness and imbalance,o There are several tests of vestibular functionClinical testsLaboratory testo Spontaneous nystagmuso Fistula testo Romberg testo Gaito Past- pointing and fallingo Hallpike manaeuver (Positional test)o Caloric testy Cold caloric test with ice cold water (modified Kobrak's test)y Fitzgerald - Hallpike test (Bithermal caloric test)Temperature of water used is +- 7degC from normal body temperature.y Cold-air caloric test by Dundas- Grant method. Done in case of perforation of tympanic membrane.o Electronystagmographyo Optokinetic testo Rotation testo Galvanic testo Posturography